Mercuroscopic expansion in dental amalgam occurs when:
1. Moisture contamination occurs during condensation of zinc containing amalgam
2. Moisture contamination occurs during trituration of zinc containing amalgam
3. Mercury released as a result of electrochemical corrosion re-reacts with Ag-Sn particle
4. Mercury released as a result of electrochemical corrosion re-reacts with Ag-Cu particle

Correct answer: 3. Mercury released as a result of electrochemical corrosion re-reacts with Ag-Sn particle